Naranjo algorithm is used for:
1. Environmental factors effecting drug
2. Para-meteric based data evaluation
3. Calculating adverse drug reaction
4. Demographic factor affecting drugs action

Correct answer: 3. Calculating adverse drug reaction

Explanation: Ans. (c) Calculating adverse drug reaction* The Naranjo algorithm, Naranjo Scale, or Naranjo Nomogram is a questionnaire designed by Naranjo et al. for determining the likelihood of whether an adverse drug reaction is actually due to the drug rather than the result of other factors.* Probability is assigned via a score termed definite, probable, possible or doubtful. Values obtained from this algorithm are sometimes used in peer reviews to verify the validity of authors conclusions regarding adverse drug reactions. It is also called the Naranjo Scale or Naranjo Score.Scoring* > 9 = definite ADR* 5-8 = probable ADR* 1-4 = possible ADR* 0 = doubtful ADR